Protrusion of tongue not possible in damage of
1. Styloglossus
2. Hypoglossus
3. Palatoglossus
4. Genioglossus

Correct answer: 4. Genioglossus

Explanation: ACTIONS OF EXTRINSIC MUSCLES OF TONGUE: Hyoglossus-Depress the tongue Styloglossus-Retracts the tongue Palatoglossus-Elevates the tongue Genioglossus-Protrudes the tongue NOTES: Genioglossus muscle is a life-saving muscle Ref BDC volume 3,sixth edition pg 266